An amino acid that does not form an a-helix is:
1. Asparagine
2. Tyrosine
3. Tryptophan
4. Proline

Correct answer: 4. Proline

Explanation: Ans. D. ProlineProline which is also called an imino acid always destabilizes a-helix. Other amino acids which disrupt the helix are acidic and basic.